Dialysis is not indicated in toxicity of
1. Lithium
2. Methanol
3. Salicylates
4. Digitalis

Correct answer: 4. Digitalis

Explanation: Refer kDT 6/e p 499 Indications for Dialysis: A Mnemonic And Explanation Severe fluid overload. Refractory hypertension. Uncontrollable hyperkalemia. Nausea, vomiting, poor appetite, gastritis with hemorrhage. Lethargy, malaise, somnolence, stupor, coma, delirium, asterixis, tremor, seizures, Pericarditis (risk of hemorrhage or tamponade)